As per the Dowry Prohibition Act 1961, penalty awarded in case of death is imprisonment for:
1. < 5 years
2. Upto 7 years
3. 7 years to life imprisonment
4. Upto 10 years

Correct answer: 3. 7 years to life imprisonment

Explanation: Ans. 7 years to life imprisonment